Beta waveforms in electroencephalogram designate which of the following states of the patient
1. Deep Anaesthesia
2. Surgical Anaesthesia
3. Light Anaesthesia, eyes closed, relaxed
4. Awake/alert state

Correct answer: 4. Awake/alert state

Explanation: Electrical recordings from the surface of the brain or even from the outer surface of the head demonstrate that there is continuous electrical activity in the brain. Both the intensity and the patterns of this electrical activity are determined by the level of excitation of different parts of the brain resulting from sleep, wakefulness, or brain disorders such as epilepsy or even psychoses. The undulations in the recorded electrical potentials are called brain waves, and the entire record is called an electroencephalogram (EEG). Alert wakefulness is characterized by high-frequency beta waves. When the awake person's attention is directed to some specific type of mental activity, the alpha waves are replaced by asynchronous, higher frequency but lower voltage beta waves. Beta waves occur at frequencies greater than 14 cycles/ sec and as high as 80 cycles/sec. They are recorded mainly from the parietal and frontal regions during specific activation of these parts of the brain.Ref: Guyton and Hall Textbook of medical physiology, 13th edition